Accelerated idlioventricular rhythm (AIVR) is most characteristically seen in?
1. AV nodal block
2. Myocardial reperfusion
3. Metabolic derangement
4. Digitalis therapy

Correct answer: 2. Myocardial reperfusion